Most common site of osteochondritis dessicans -
1. Lateral part of the medial femoral condyle
2. Medial part of the medial femoral condyle
3. Lateral part of the lateral femoral condyle
4. Medial part of the lateral femoral condyle

Correct answer: 1. Lateral part of the medial femoral condyle

Explanation: Osteochondritis dessicans involves lateral surface of medial femoral condyle.